A 35 year old has a firm unshakable belief that his wife is cheating on him. He never allows her to go out of home alone and locks his house, while going out. In spite of all this, he is persistently suspicious that his wife has an affair. The probable diagnosis is:
1. Schizophrenia
2. Delusional parasitosis
3. De Clerambault's syndrome
4. Othello syndrome

Correct answer: 4. Othello syndrome

Explanation: Here, there is only one delusion, i.e, delusion of infidelity, also known as Othello syndrome. de Clerembault syndrome is another name for delusion of love Delusional parasitosis is another name for Ekbom syndrome, where patient has a belief that they are infested with very small and invisible parasites like insects